Which of the following is not associated with pathological apoptosis?
1. DNA damage
2. ER stress
3. Transplant rejection
4. Involution of hormone dependent tissue upon hormone withdrawal

Correct answer: 4. Involution of hormone dependent tissue upon hormone withdrawal

Explanation: Pathological Apoptosis:

DNA damage.
Accumulation of misfolded proteins in ER leads to a condition called ER stress.
Cell death in certain infections (viral mostly) and transplant rejection and tumours.
Pathological atrophy.